Luftsichel sign on chest radiograph is indicative of
1. RUL collapse
2. Combined RLL and RML collapse
3. LUL collapse
4. LLL collapse

Correct answer: 3. LUL collapse